Most important prognostic indicator for wilms tumor
1. Nuclear grade
2. Histological type
3. Size
4. Pathological staging

Correct answer: 2. Histological type

Explanation: Histology is Most important prognostic indicator for wilms tumor
Stage of tumor is Most important prognostic indicator for RCC.